Methotrexate is what class of anti cancer drug ?
1. Alkylating agents
2. Antimetabolites
3. Microtubule damaging agents
4. Topoisomerase inhibitors

Correct answer: 2. Antimetabolites

Explanation: Ans. is 'b' i.e., Antimetabolites